Which of the following is not an adverse effect of chronic amiadarone therapy -
1. Pulmonary Fibrosis
2. Hypothyroidism
3. Hyperthyroidism
4. Systemic Lupus erythematosus

Correct answer: 4. Systemic Lupus erythematosus

Explanation: Ans. is 'd' i.e., Systemic Lupus erythematosis